Glass ionomer cement is composed of:
1. Zinc oxide powder and poly carboxylic liquid
2. Zinc oxide powder and phosphoric acid
3. Aluminia silicate powder and poly carboxylic liquid
4. Aluminia silicate powder and phosphoric acid

Correct answer: 3. Aluminia silicate powder and poly carboxylic liquid